Genital tuberculosis spreads through:
1. Hematogenous route
2. Lymphatic route
3. Direct contact
4. Ascending infection

Correct answer: 1. Hematogenous route

Explanation: ANSWER: (A) Hematogenous routeREF: Shaw's Gynecology 13th ed p. 147"Most common route of spread of genital tuberculosis is through blood stream"